Double base smokeless gun powder contains:
1. Nitrocellulose and nitroguanidine
2. Potassium nitrate and sulphur
3. Potassium nitrate and charcoal
4. Nitrocellulose and nitroglycerin

Correct answer: 4. Nitrocellulose and nitroglycerin

Explanation: Ans. Nitrocellulose and nitroglycerin